Increased level lipoprotein A predisposes to
1. Liver cirrhosis
2. Atherosclerosis
3. Nephrotic syndrome
4. Pancreatitis

Correct answer: 2. Atherosclerosis

Explanation: Familial lipoprotein(a) excess leads premature coronary heart disease due to atherosclerosis, plus thrombosis due to inhibition of fibrinolysis.Ref: Harper 30th edition pg: 275